Pyronaridine is -
1. Antimalarial
2. Anti-HIV
3. Antifungal
4. Antibacterial

Correct answer: 1. Antimalarial

Explanation: Ans. is 'a' i.e., Antimalarial o Pyronaridine is an erythrocytic schizontocide with high efficacy and mechanism of action similar to chloroquine. o It is active against both chloroquine-sensitive and resistant P. falciparum and other malarial species.